The safe dose of adrenaline in a patient with compromised cardiac condition is:
1. 0.2 mg
2. 0.02 mg
3. 0.4 mg
4. 0.04 mg

Correct answer: 4. 0.04 mg